Von recklinghausen disease is associated with-
1. Glaucoma
2. Optic nerve glioma
3. Neurofibroma of the lids
4. All the above

Correct answer: 4. All the above

Explanation: Von recklinghausen disease is associated with Glaucoma Optic nerve glioma Neurofibroma of lids Ref khurana 6/e